Which vitamine deficiency can lead to neonatal seizure
1. Thiamine
2. Riboflavin
3. Pyridoxine
4. Biotin

Correct answer: 3. Pyridoxine

Explanation: (C) Pyridoxine > Deficiency of pyridoxine can lead to seizures and peripheral neuropathy.* Clinical features include failure to thrive hyperirritability hyperacusis hypochromic microcytic anemia nausea and vomiting* Daily recommended dose is 0.5-1 .Omg/day